Indirect laryngoscopy is primarily used to visualize-
1. Vocal Cords
2. Epiglottis
3. Bronchi
4. Trachea

Correct answer: 1. Vocal Cords

Explanation: Ans. is 'a > b' i.e., Vocal Cords > Epiglottis o Indirect laryngoscopy is done when the vocal cords need to be visualized for various pathologieso Visualization of the vocal cords and glottis-including upper tracheal rings, larynx, and hypopharynx- in cases of unexplained dysphonia or hoarseness, foreign body sensation, or dysphagia.Indirect laryngoscopyo As the name suggests, indirect laryngoscopy is not direct visualization of larynx; rather, it involves examination of larynx by observing its reflection via a laryngeal mirroro Important structures seen on indirect laryngoscopy are# Base of tongue# Epiglottis# Glosoepiglottic fold# Valleculla# False vocal cord# True vocal cord# Pyriform fossao Following hidden area of larynx can not be seen infrahyoid epiglottis, anterior commissure, ventricles, subglottic region.